Which is not a macrophage:
1. Monocyte
2. Microgila
3. Kupffer cells
4. Lymphocytes

Correct answer: 4. Lymphocytes

Explanation: Answer is D (Lymphocytes):